A major step in the pathogenesis of listeriosis is ?
1. The formation of antigen-antibody complexes with resultant complement activation and tissue damage
2. The release of hyaluronidase by L. monocytogenes, which contributes to its dissemination from local sites
3. The antiphagocytic activity of the L. monocytogenes capsule
4. The survival and multiplication of L. monocytogenes within mononuclear phagocytes and host epithelial cells

Correct answer: 4. The survival and multiplication of L. monocytogenes within mononuclear phagocytes and host epithelial cells

Explanation: Ans. is 'd' i.e., Survival and multiplication of L. monocytogens within mononuclear phagocytes and host epithelial cells